Tumor lysis syndrome is associated with all of the following laboratory feature except:
1. Hyperkalemia
2. Hypercalcemia
3. Hyperuricemia
4. Hyperphosphatemia

Correct answer: 2. Hypercalcemia

Explanation: Answer is B (Hypercalcemia): Tumor Lysis Syndrome is associated with Hypocalcemia and not Hypercalcemia.